Most serious side effects of amphotericin B:
1. Hepatic damage
2. Renal damage
3. Cardiotoxicity
4. Hypochromic anemia

Correct answer: 2. Renal damage

Explanation: Ref: Sharma & Sharma 3rd ed. P 783Adverse Drug reactions of Amphotericin B* The most common, most serious and long term side effect of amphotericin B is Nephrotoxicity (renal tubular necrosis)* This nephrotoxicity presents with hypokalemia, hypomagnesemia secondary to renal tubular acidosis, azotemia and even irreversible damage if the dose exceeds 5g.# In order to prevent the nephrotoxicity, prior hydration with 1L of normal saline is recommended.# Liposomal preparation has lesser risk of nephrotoxicity* Hypochromic normocytic anemia is common and thrombocytopenia and leukopenia although less common but has been noted.* Intrathecal administration: Arachnoiditis and seizure* Hepatic impairment and Jaundice* Infusion related toxicity (chills, tachypnea, fever, vomiting, hypotension, anaphylaxis)